Pap smear test for detection of carcinoma of cervix is which level of prevention?
1. Primordial
2. Primary
3. Secondary
4. Tertiary

Correct answer: 3. Secondary